Post prandial utilization of glucose is by which enzyme?
1. Hexokinase
2. Glucokinase
3. Fructokinase
4. All of the above

Correct answer: 2. Glucokinase

Explanation: Factors Regulating Glycolysis - Glucokinase/Hexokinase: Phosphorylation of glucose by these enzymes is a reaction which is regulated by feed back inhibition (hexokinase by glucose-6-phosphate) and activated by insulin (glucokinase is induced by insulin). Glucokinase that is active mainly in liver has a high Km for glucose and low affinity. Hence, glucokinase can act only when there is adequate glucose supply so that excess can be stored. Hexokinase with low km and high affinity can phosphorylate glucose even at lower concentrations so that glucose is made available to brain, cardiac and skeletal muscle. Glucokinase can act only when there is plenty of glucose. Thus, when the supply of glucose is limited, glucose is made available to brain and muscles. Ref:DM VASUDEVAN TEXTBOOK OF BIOCHEMISTRY,EIGHTH EDITION,PG.NO.,98.